At PHC level, a woman who complains of spotting following Intrauterine contraceptive device insertion should be advised
1. Analgesics and observation
2. Antibiotics and observation
3. Iron supplements and observation
4. Removal of IUCD

Correct answer: 3. Iron supplements and observation

Explanation: The commonest complaint of women fitted with an IUD is increased vaginal bleeding.Usually bleeding or spotting between periods settles within 1-2 months.The patient who is experiencing the bleeding episodes should receive iron tablets.Ref: Park 23rd edition pg: 498